Which of the following statements regarding ANB angle is false?
1. It measures the magnitude of skeletal jaw discrepancy
2. Vertical height of the face influences this angle
3. Position of the sella influences this angle
4. Position of the nasion influences this angle

Correct answer: 3. Position of the sella influences this angle

Explanation: The ANB angle indicates the magnitude of the skeletal jaw discrepancy. The magnitude of the ANB angle, however, is influenced by two factors other than the anteroposterior difference in jaw position. One is the vertical height of the face. As the vertical distance between nasion and points A and B increases, the ANB angle will decrease. The second is that, if the anteroposterior position of nasion is abnormal, the size of the angle will be affected.
Ref: Contemporary orthodontics, William Proffit, 4th edition page 209